A young lady is present with history of repeated episodes of overeating followed by purging using laxatives, she is probably suffering from
1. Bulimia nervosa
2. Schizophrenia
3. Anorexia nervosa
4. Benign eating disorders

Correct answer: 1. Bulimia nervosa

Explanation: Bulimia Nervosa Bulimia nervosa is an eating disorder charac terised by the following clinical features: 1. Bulimia nervosa usually has an onset in early teens or adolescence. 2. There is an intense fear of becoming obese. There may be an earlier history of anorexia nervosa. 3. There is usually body-image disturbance and the person is unable to perceive own body size accurately. 4. There is a persistent preoccupation with eating, and an irresistible craving for food. There are episodes of overeating in which large amounts of food are consumed within short periods of time (eating binges). 5. There are attempts to 'counteract' the effects of overeating by one or more of the following: selfinduced vomiting, purgative abuse, periods of starvation, and/or use of drugs such as appetite suppressants. 6. No known medical illness is present which can account for the disorder. 7. Absence of any other primary psychiatric disorder. Ref: A Short Textbook of Psychiatry, Niraj Ahuja, 7th Edition, pg. no.144